DPT is contraindicated in :
1. Family H/O. convulsion and neurological illness
2. Acute upper respiratory infection
3. Malnutrition
4. Evolving neurological illness

Correct answer: 4. Evolving neurological illness

Explanation: Progressive neurological disease is a contraindication.
Family H/O convulsion or neurological illness is not a contraindication H/O convulsion after 1st dose of DPT vaccine is a contraindication.